In hypokalaemia all ECG changes are seen except-
1. Decreased T-wave amplitude
2. Normal ST segment
3. Wide QRS complex
4. U-wave

Correct answer: 2. Normal ST segment